Glutathione contains all except-
1. Cysteine
2. Glutamine
3. Glutamic acid
4. Glycine

Correct answer: 2. Glutamine

Explanation: Ans. is 'b' i.e., Glutamine* Glutathione is a tripeptide* It is g glutamyl cysteinyl glycine* It is made up of three aminoacids - glutamic acid, cysteine and glycine* Hence Glutamine is not a component of glutathione